Which of the following has the highest protein content per 100 gm?
1. Egg
2. Groundnut
3. Soyabean
4. Meat

Correct answer: 3. Soyabean

Explanation: Egg contain 13.3 mg if protein per 100g . Meat contain 21.4g,Groundnut contain 26.7g,soyabean Contain 40percent of protein. REF. PARK'S TEXTBOOK OF PREVENTIVE AND SOCIAL MEDICAL 21ST EDITION. PAGE NO - 580,581,582